Hepatitis C virus is associated with -a) Anti LKM - I antibodyb)  Sclerodermac) Cryoglobulinemiad) Polyarteritis nodosa
1. a
2. ac
3. ad
4. b

Correct answer: 2. ac